Prominent eosinophilic secretory granules are seen in the paneth cells of the intestinal crypts. What is secreted from the cells?
1. Mucus
2. Antibacterial like lysozyme
3. Alkaline fluid
4. Acidic fluid

Correct answer: 2. Antibacterial like lysozyme

Explanation: Paneth cells (zymogen cells) are found only in the deeper parts of the intestinal crypts. They contain prominent eosinophilic secretory granules. On examination, they are seen to contain considerable rough endoplasmic reticulum (ER) with other organelles and some irregular microvilli. The cells are rich in zinc. They are known to produce lysozyme which destroys bacteria. They may also produce other enzymes. Ref: Inderbir Singh's Textbook of Human Histology, 5th Edition, Page 247